Nerve supply of tip of nose
1. Ext nasal branch of ophthalmic division of
2. Inferior orbital nerve
3. Buccal br of mandibular nerve
4. Orbital of maxillary n

Correct answer: 1. Ext nasal branch of ophthalmic division of

Explanation: Nerve supply General sensory nerves derived from the branches of trigeminal nerve are distributed to whole of the lateral wall: Anterosuperior quadrant is supplied by the anterior ethmoidal nerve branch of ophthalmic nerve. Anteroinferior quadrant is suplied by the anterior superior alveolar nerve branch of infraorbital continuation of maxillary nerve. Posterosuperior quadrant is supplied by the lateral posterior superior nasal branches from the pterygopalatine ganglion. Posteroinferior quadrant is supplied by the anterior palatine branch from the pterygopalatine ganglion REF.BDC VOL.3,FIFTH EDITION